Which of the following is a primer acting as an acceptor of glucose residues in glycogenesis?
1. Carbohydrate
2. Lipid
3. Protein
4. Nucleic acid

Correct answer: 3. Protein

Explanation: Primer for Glycogen biosynthesis: Glycogenin protein-contains tyrosine to which Glucose chain attached.